What is a Rhinolith:
1. Foreign body in nose
2. Stone in nose
3. Deposition of calcium around foreign body in nose
4. Misnomer

Correct answer: 3. Deposition of calcium around foreign body in nose

Explanation: Rhinoliths are calcareous masses which result due to deposition of salts-like calcium and magnesium carbonates and phosphates around the nucleus of a foreign body. Ref Dhingra 6/e,p 161.